Typhoid in first week of illness is best diagnosed by:-
1. Serum widal test
2. Stool culture
3. Urine test
4. Blood culture

Correct answer: 4. Blood culture

Explanation: Laboratory diagnosis of typhoid : 'BASU' mnemonic Test of diagnosis Time of diagnosis Remarks Blood culture 1st week Mainstay of diagnosis Antibodies (widal test) 2nd week Moderate sensitivity & specificity Stool culture 3rd week Useful for carries Urine test 4th week Useful for carries